Aneurysm of post-cerebral artery can result in paralysis of which cranial nerve?
1. 2nd
2. 3rd
3. 5th
4. 6th

Correct answer: 2. 3rd

Explanation: Posterior cerebral artery aneurysm is associated with occulomotor nerve palsy.